Normal angle anteflexion of uterus is?
1. 90deg
2. 125deg
3. 100deg
4. 140deg

Correct answer: 2. 125deg

Explanation: Ans. B. 125degThe angle of anteflexion is a forward angle between the long axis of the body of uterus and the long axis of the cervix in the isthmus. It measures about 125 deg.ANGLE OF ANTEVERSION - forward angle between the long axis of cervix and the long axis of vagina. It measures about 90deg.